First drug to be started in Sheehan's syndrome is ?
1. Gonadotropins
2. Oestrogen
3. Thyroxine
4. Corticosteroids

Correct answer: 4. Corticosteroids

Explanation: Ans. is 'd' i.e., Corticosteroids Sheehan syndrome is panhypopituitarismo Treatment of patients with hypopituitarism is the sum of the treatments of each of the individual pituitary hormonal deficiencies detected when a patient with a pituitary or hypothalamic disease is tested\o The treatments of corticotropin (ACTH), thyroid-stimulating hormone (TSH), and luteinizing hormone (LH) and follicle-stimulating hormone (FSH) deficiencies are in many ways the same as the treatments of primary deficiencies of the respective target glands, but in other vvayjf they differ.o Lack of ACTH primarily causes cortisol deficiencv:-# Treatment consists of the administration of hydrocortisone or other glucocorticoid in an amount and timing to mimic the normal pattern of cortisol secretion.o TSH deficiency, which results in thyroxine (T4) deficiency# Is treated with Levothyroxine.# T4 should not be administered until adrenal function, including ACTH reserve, has been es-aluated and either found to be normal or treated.o In women with gonadotropin deficiency, treatment depends upon the patient's goals# Estradiol and progestin replacements are indicated in women who are not pursuing fertility, while gonadotropin or pulsatile GnRH therapy may be used when ovulation induction and fertility are the goalo In men with gonadotropin deficiency# Testosterone replacement is indicated when fertility is not desired.# Men with secondary> hypogonadism who wish to become fertile may be treated with gonadotropins if they have pituitary disease or with either gonadotropins or gonadotropin-releasing hormone (GnRH) if they have hypothalamic GnRH deficiency.